Drug of choice in postpartum hemorrhage resistant to oxytocin and Ergometrine:
1. Carboprost
2. Dinoprostone
3. Dinoprost
4. Misoprostol

Correct answer: 1. Carboprost

Explanation: Uterotonics tried are: Oxytocin: 5 - 10 IU IV in Dilution or 40 IU/500 ml at 125 ml/hour Ergometrine: 0.2mg slow IV (Can repeat if no response) Carboprost 250 ug IM every 15 minutes, upto total 8 times Misoprostol 1000 ug rectally